Which of the following is Venodilator
1. Hydralizine
2. Minoxidil
3. Nitroprusside
4. Nifedipine

Correct answer: 3. Nitroprusside

Explanation: Hydralizine, minoxidil and nifedipine are primarily arteriolar dilator whereas nitroprusside is a mixed arterial and venous dilator. Therefore best answer seems to be is a nitroprusside Refer kDT 6/e p540